Sequestrated lung is supplied most commonly by ?
1. Bronchial arteries
2. Descending aorta
3. Subclavian artery
4. Intercostal arteries

Correct answer: 2. Descending aorta

Explanation: Ans. is 'b' i.e., Descending aorta